Jerky pulse seen in
1. Dilated cardiomyopathies
2. Hypertrophic cardiomyopathies
3. Restrictive cardiomyopathies
4. All of the above

Correct answer: 2. Hypertrophic cardiomyopathies

Explanation: (Hypertrophic CMP) (1409-13-H) (362-CMDT-09) (1484-H17th)Classification of the cardiomyopathies DILATEDHYPERTROPHICRESTRICTIVEFrequent causesIdiopathic, alcoholic, myocarditis, postpartum, Doxorubicin, endocrinopathies, genetic diseaseHereditary syndrome, possible chronic hypertensionAmyloidosis, post radiation, post open heart surgery, DM, Endomyocardial fibrosisSymptomsLeft or biventricular CHFDyspnea, chest pain, syncopeDyspnea, Fatigue, right sided CHFPhysical examinationCardiomegaly, S3, elevated JVP, rales* Sustained point of maximal impulse, S4, variable systolic murmur bisferiens carotid pulse| JVP, Kussmau's signECGST-T changes, conduction abnormalities, ventricular ectopyLVH exaggerated septal Q wavesST-T changes, conduction abnormalities, low voltageChest X rayEnlarged heart, pulmonary congestionMild cardiomegalyMild to moderate cardiomegalyEchocardiogram nuclear studiesLeft ventricular dilation, and dysfunctionLVH, asymmetric septal hypertrophy, small left ventricular size, normal or supranormal function systolic anterior mitral motionSmall or normal left ventricular size, normal or mildly reduced left ventricular functionsCardiac atheterizationLeft ventricular dilation and dysfunction, high diastolic pressures, low cardiac outputSmall, hypercontractiles left ventricle, dynamic outflow, gradient, diastolic dysfunctionHigh diastolic pressure, "Square root" sign normal or mildly reduced left ventricular function